The cell bodies of orexinergic neurons are present in:
1. Locus ceruleus
2. Dorsal raphe
3. Lateral hypothalamic area
4. Hippocampus

Correct answer: 3. Lateral hypothalamic area

Explanation: Orexin-containing cell bodies are found exclusively in the lateral hypothalamus (LH), perifornical area (PFA), and dorsomedial hypothalamus (DMH) while orexin-containing fibers and terminals are widely distributed in almost all of the brain regions. Ref: Ganong's Review of Medical Physiology, 22nd Edition, Page 238; New Frontiers in Respiratory Control: XIth Annual Oxford Conference on Modeling ... By Ikuo Homma, 2010, Page 244.